Cancer suppressor gene is important in which malignancy -
1. Retinoblastoma
2. Malignant melanoma
3. Liver carcinoma
4. Lung cancer

Correct answer: 1. Retinoblastoma

Explanation: Ans. is 'a' i.e., Retinoblastoma